In CuT 200, the number denotes:
1. Surface Area
2. Weight in microgram
3. Weight in milligram
4. Effective half life in weeks

Correct answer: 1. Surface Area

Explanation: Ans: A (Surface Area) [Ref: Park 19th/393-397; Community medicine by Asma Rahim 1st (2008)/361-363} "The number included in the names of the devices refer to the surface area (in sq. mm) of the copper on the device. Nova T & TCu - 380 Ag are distinguished by a silver core over which is wrapped around the copper wire"- Park 19th/394 Intra-Uterine Devices: Classification 1st Generation UJDs (inert or non medicated devices) 2nd Generation HJDs * Earlier devices - Copper 7 - Copper T - 2G0q *Newer devices - Variants of the T device (i) T Cu - 220 CQ (ii) T Cu - 380 A or AgQ - Nova T*3 * Multi-load devices* (i)ML-Cu-250 (ii)ML-Cu-375 3rd Generation IUDs (Hormonal devices) - ProgestasertQ LNG-2o (Mirena) Q IUDs: Review of Facts CuT-200 B being used in India, under the national family welfare programme.Later CuT 3BOA is introduced in the programme. Studies have shown that the effectiveness of the copper device is directly related to the amount of copper surface area (usually this is 200 or 220 mm2J- Park 19th/395 IUD is not a method of first choice for nulliparous women. They have more problems such as expulsion, low abdominal pain & pelvic infection. Cafeteria Approach (community Medicine by Asma Rahim lst/359} Approach directed towards couples in the family planning programme. In this approach a "cafeteria choice" (as in a menu card of a coffee shop), Le. a list of all methods from which an individual couple can choose according to his needs & wishes to promote family planning as a way of life. #Seventy-two condoms/yr needed to protect a couple (community medicine by Asma Rahim lst/360)